Elephantiasis neuromatosa is a feature of
1. Von Recklinghausen's disease
2. Neurilemmoma
3. Paraganglioma
4. Multiple endocrine neoplasia syndrome

Correct answer: 1. Von Recklinghausen's disease